Sources of health waste
1. Nursing homes
2. PHC
3. Animal houses
4. All of the above

Correct answer: 4. All of the above

Explanation: Hospitals, animal houses, research labs, blood banks ..etc all generate healthcare- waste and therefore, covered under Bio-medical waste rulesPark 23e pg: 789